Radiological findings of scurvy are A/E:
1. Epiphyseal widening
2. Metaphyseal porosis
3. Metapyseal infarction
4. Pelkan spur

Correct answer: 1. Epiphyseal widening

Explanation: A i.e. Epiphyseal widening